Which of the following hormones is mainly responsible for skeletal maturation of long bones during puberty?
1. Testosterone
2. Estrogen
3. Growth hormone
4. Testosterone/estrogen ratio

Correct answer: 2. Estrogen

Explanation: Estrogen promotes bone maturation and closure of epiphyseal plates in long bones. It conserves bone mass by suppressing bone turnover and maintaining balanced rates of bone formation and bone resorption. Estrogen affects the generation, lifespan, and functional activity of both osteoclasts and osteoblasts. It promotes synthesis of osteoprotegerin, decreases osteoclast formation and activity, and increases osteoclast apoptosis. Ref: Molina P.E. (2013). Chapter 9. Female Reproductive System. In P.E. Molina (Ed), Endocrine Physiology, 4e.